Which brainstem-derived descending tract produces action similar to the corticospinal tract?
1. Vestibulospinal
2. Reticulospinal
3. Spinocerebellar
4. Rubrospinal

Correct answer: 4. Rubrospinal

Explanation: Ans. D. Rubrospinala. The rubrospinal tract descends in the lateral spinal cord and influences distal muscle function. This is also the function of the corticospinal tract.b. The vestibulospinal and reticulospinal tracts descend medially and influence proximal muscle action.c. The spinocerebellar tract is an ascending pathway.